Properties of fillers can be:
Fillers increases the mechanical properties of composite.
It also increases the optical properties of composite.
Increases the diagnostic sensitivity of composite.
Decrease watersorption and Polymerization shrinkage of composite.
1. 1&2
2. 1,3,4
3. 1,2,3,4
4. 2,3

Correct answer: 3. 1,2,3,4